Which of the following is the most important neurotransmitter deficient in the cortex of patients with Alzheimer's Disease
1. Acetylcholine
2. Serotonin
3. Dopamine
4. Noradrenaline

Correct answer: 1. Acetylcholine

Explanation: Answer is A (Acetylcholine):The most important biochemical abnormality in Alzheimer's disease is the decrease in cortical levels of AcetylcholineBiochemically Alzheimer's disease is associated with a decrease in the cortical levels of several proteins and neurotransmitters especially acetylcholine, its synthetic enzyme choline-acetyl-transferase, and nicotinic cholinergic receptors. Reduction of acetylcholine is related in part to degeneration of cholinergic neurons in the nucleus basalis of Meynert (NBM) that projects through the cortex. There is also noradrenergic and serotonergic depletion due to degeneration of brainstem nuclei such as the locus ceruleus and dorsal raphe' - Harrison's